Following are TVS findings of Adenomyosis except
1. Transition zone > 12mm thick
2. Endometrial cyst
3. Heterogenous myometrium
4. Subendometrial striations.

Correct answer: 2. Endometrial cyst

Explanation: Adenomyosis is characterised by myometrial cyst, which is most specific sign.